Wof is true regarding tolerance occurring in regular opium abusers
1. Tolerance develops to all actions of morphine
2. No tolerance occurs to euphoric and sedative actions of morphine
3. No tolerance occurs to constipating and miotic actions of morphine
4. Lethal dose of morphine is not significantly increased

Correct answer: 3. No tolerance occurs to constipating and miotic actions of morphine

Explanation: Tolerance and dependence :- High degree of tolerance can be developed to morphine and related opioids if the drug is used repeatedly. It is partly pharmacokinetic (enhanced rate of metabolism), but mainly pharmacodynamic (cellular tolerance). Tolerance is exhibited to most actions, but not to constipating and miotic actions. Addicts tolerate morphine in grams: lethal dose is markedly increased. Ref:- kd tripathi; pg num:-473